Which line represent the disease directly causing death, in death certificated -
1. Ia
2. Ib
3. Ic
4. II

Correct answer: 1. Ia

Explanation: Ans. is 'a' i.e., Ia * The basis of mortality data is death certificate. For ensuring national and international comparability, it is necessary to have a uniform and standardized system of recording and classifying deaths. For this purpose WHO has recommended international death certificate.* Consist of four lines:-# Line Ia: Disease or condition directly leading to death# Line Ib: Antecedent/ underlying cause# Line Ic: Main antecedent / underlying cause# Line II: Other significant conditions contributing to death but not related to disease! condition causing it* Example of a death certificate:-# Line Ia: Renal failure# Line Ib: Diabetic nephropathy# Line Ic: Diabetes mellitus# Line II: Hypertension* Concept of underlying cause, Line Ic is the most important line in death certificate, thus also known as 'Essence of Death Certificate\